Megaloblastic anemia is caused by:
1. Diphyllobothriumlatum
2. H-NaNa
3. Taeniasaginata
4. Echinococcusgranulosis

Correct answer: 1. Diphyllobothriumlatum

Explanation: Habitat: Adult worm lives in small intestine (ileum orjejunum) of man D. Latum is the longest tapeworm found in man. Life cycle:
The worm passes its life cycle in one definitive host and Two intermediate host. Definitive host: Man is the main definitive host Intermediate host:
First intermediate host: Small copepods mainly of genraDiaptomus and Cyclops Second intermediate host:
Freshwater Fishes. Humans become infected when they eat undercooked raw or lightly salted meat or roe from infected freshwater fishes.
Pathogenicity:
Most human infections arc caused by only one tape worm and cause no or very vague ill effects.
Patient may develop fatigue, weakness, diarrhea and numbness of extremities. Some Patient develops mechanical obstruction. In few cases pernicious anemia may develop due to B12 deficiency. D. Latum has been shown to absorb as much as 80-100% of a single oral dose of vit- B12 thereby competing with the host for this important vitamin. Treatment of choice:
Niclosamide and praziquantel Important:
Vit B12 Absorb in the ILEUM.
Iron is absorbed in the Duodenum.